Defective enzyme in Hurler's disease?
1. Alpha-L-Iduronidase
2. Iduronate sulfatase
3. Beta-glucoronidase
4. Beta-galactosidase

Correct answer: 1. Alpha-L-Iduronidase

Explanation: Type of MPS Disease Defective Enzyme 1 Hurler syndrome Iduronidase 2 Hunter syndrome Iduronate sulfatase 3 san filipo A Heparin sulfatase 3 San filipo B N-acetyl glucosamidase 3 San filipo C Glucosamine N-acetyl transferase 3 San filipo D N-acetyl glucosamine 6 sulfatase 4 Morquio syndrome N-acetyl galactosamine 6 sulfatase 6 Maroteaux lamy syndrome N-acetyl galactosamine 4 sulfatase/aryl sulfatase B 7 Sly syndrome Beta-glucoronidase